What is the modification of the Mapelson E breathing system used in infants?
1. Mapleson A
2. Mapleson B
3. Mapleson C
4. Mapleson F

Correct answer: 4. Mapleson F

Explanation: Jackson's Rees is best suited for pediatric ventilation.Modification of Ayer's T-piece /type E used in children <6years or 20kgs.